The region in which cementum formation is most rapid is:
1. Middle
2. Coronal
3. Apical
4. Interradicular

Correct answer: 3. Apical